Which of the following describes Richter's hernia:
1. The strangulated loop of 'W' lies within the abdomen
2. Hernia occurring at the level of arcuae line
3. Involves only a portion of the circumference of the bowel.
4. Hernia occurring through the linea alba

Correct answer: 3. Involves only a portion of the circumference of the bowel.

Explanation: Ans. C: Involves only a portion of the circumference of the bowel. The Richter hernia occurs when only the antimesenteric border of the bowel herniates through the fascial defect. The Richter hernia involves only a portion of the circumference of the bowel. As such, the bowel may not be obstructed, even if the hernia is incarcerated or strangulated, and the patient may not present with vomiting. The Richter hernia can occur with any of the various abdominal hernias and is particularly dangerous, as a portion of strangulated bowel may be reduced unknowingly into the abdominal cavity, leading to perforation and peritonitis The strangulated loop of 'W' lies within the abdomen, so that local tenderness over the hernia is not marked is a feature of Maydl's hernia.